Standard treatment of verrucous carcinoma of lip:
1. Surgery & radiotherapy
2. Surgical excision
3. Laser therapy
4. Interferon

Correct answer: 2. Surgical excision

Explanation: The standard treatment of verrucous carcinoma is careful surgical excision.